The tumor which is more commonly located in the tail of the pancreas is:
1. Glucagonoma
2. Somatostatinoma
3. Gastrinoma
4. Insulinoma

Correct answer: 1. Glucagonoma

Explanation: Glucagonomas are usually large tumors at diagnosis. 50-80% occur in the pancreatic tail. Insulinoma distributed equally in the head, body and tail. Gastrinoma is usually located at the gastrinoma triangle in the duodenum. Reference: Harrisons Principles of Internal Medicine, 18th Edition, Pages 3065-67